What percentage of beta cell mass is destroyed when type 1 diabetes becomes evident?
1. 20%
2. 40%
3. 60%
4. 80%

Correct answer: 4. 80%

Explanation: Features of diabetes do not become evident until a majority of beta cells are destroyed (70-80%). At this point, residual functional beta cells exist but are insufficient in number to maintain glucose tolerance.Ref: Harrison 19e pg: 2403